Most common site of prostatic carcinoma:
1. Anterior lobe
2. Median lobe
3. Posterior lobe
4. Central zone

Correct answer: 3. Posterior lobe

Explanation: Posterior lobe roughly corresponds to peripheral zone, which is the sub-capsular portion of the posterior aspect of the prostate gland that surrounds the distal urethra. 70-80% of prostatic cancers originate in this region. Median lobe- Benign Prostate Hypertrophy Posterior lobe- Ca Prostate